Probenecid does NOT decrease the renal excretion of the following drug:
1. Ketoprofen
2. Methotrexate
3. Rifampin
4. Penicillin

Correct answer: 3. Rifampin

Explanation: Probenecid decreases the biliary secretion of rifampin, leading to higher plasma concentrations. Probenecid inhibits the tubular secretion of drugs, such as: Methotrexate Active metabolite of clofibrate Inactive glucuronide metabolites of NSAIDs such as naproxen, ketoprofen, and indomethacin Penicillin Cephalosporins Ref: Grosser T., Smyth E. (2011). Chapter 34. Anti-inflammatory, Antipyretic, and Analgesic Agents; Pharmacotherapy of Gout. In L.L. Brunton, B.A. Chabner, B.C. Knollmann (Eds), Goodman & Gilman's The Pharmacological Basis of Therapeutics, 12e.